Inclusion bodies of trachoma are stained with?
1. Wright’s stain
2. Iodine
3. Saffranin
4. Alcian blue

Correct answer: 2. Iodine

Explanation: Stained with dilute Lugol’s iodine solution, some of the inclusions of C trachomatis appear brown because of the glycogen matrix that surrounds the particles. Inclusions of C psittaci are diffuse intracytoplasmic aggregates.